First secondary ossification center appears in -
1. Lower end of femur
2. Upper end of humerus
3. Lower end of fibula
4. Upper end of tibia

Correct answer: 1. Lower end of femur

Explanation: Ossification centre appears in lower end of femur in 36 weeks.Dr. Narayana Reddys Synopsis of Forensic Medicine & Toxicology 27th edition pg. 46.